"Fleeting pulmonary infiltrates" on sequential chest skiagrams in an individual who suffers from asthma are characteristics of-
1. Allergic bronchopulmonary aspergillosis
2. Mycobacteriurn tuberculosis infection
3. Pneumocystis jirovecii pneumonia
4. Nocardia infecation

Correct answer: 1. Allergic bronchopulmonary aspergillosis

Explanation: Allergic bronchopulmonary aspergillosis is an eosinophilic pneumonia characterised by peripheral blood eosinophilia(>1000/microL)and migratory pulmonary infiltrates in chest Xray.It is usually associated with bronchial asthma.There will be elevated IgE class antibodies specific for A.fumigatus. Reference:Harrison' s medicine-18th edition,page no:2120.